A young patient presents to the ophthalmic outpatient department with gradual blurring of vision in the left eye. Slit lamp examination reveals fine stellate keratic precipitates and aqueous flare and a typical complicated posterior subcapsular cataract. No posterior synechiae were observed. The most likely diagnosis is –
1. Intermediate Uveitis (Pars Planitis)
2. Heerfordt's disease
3. Heterochromic Iridocyclitis of Fuch's
4. Subacute Iridocyclitis

Correct answer: 3. Heterochromic Iridocyclitis of Fuch's

Explanation: Gradual blurring of vision (unilateral) from a complicated subcapsular cataract in a patient with stellate keratic precipitates and no posterior synechiae suggest a diagnosis of Fuch's uveitis syndrome or Fuch's heterochromic Iridocyclitis.
The classical triad of Fusch's heterochromic iridocyclitis includes -

Heterochromia of iris
Small, round, stellate nonpigmented keratic precipitates and
Complicated posterior subcapsular cataract